A young female patient reports to the dental office with complaint of small gaps between her teeth

The most feasible and economic treatment option for such a situation would be
1. Porcelain veneers
2. Porcelain jacket crown
3. Orthodontic tooth movement
4. Diastema closure using composite

Correct answer: 4. Diastema closure using composite